In a case of undifferentiated arthritis, presence of anti-cyclic citrullinated peptide (anti CCP) indicates strong possibility of which of the following?
1. Rheumatoid arthritis
2. Systemic lupus erythematosis
3. Mixed connective tissue disorder
4. Reactive arthritis

Correct answer: 1. Rheumatoid arthritis

Explanation: Anticitrullinated peptide antibody test (Anti ccp) test is more specific than rheumatoid factor for diagnosis of rheumatoid arthritis. It may be positive very early in the course of the disease.